Deltoid is supplied by -
1. Suprascapular nerve
2. Axillary nerve
3. Upper and lower subscapular nerves
4. All of the above

Correct answer: 2. Axillary nerve